Effects of estrogen are all of the following except ?
1. Reduces HDL
2. Reduces LDL
3. Increases triglyceride
4. Reduces bone resorption

Correct answer: 1. Reduces HDL

Explanation: Ans. is 'a' i.e., Reduces HDL o Estrogens decrease LDL while increase HDL and triglyceride -4 atherosclerosis is rare before menopause.